In carcinoid syndrome, the ap of heart mostly affected is:
1. Outflow tract of RV
2. Inflow tract of RV
3. Inflow tract of LV
4. Outflow tract LV

Correct answer: 2. Inflow tract of RV

Explanation: Answer is B (Inflow tract of RV) The most commonly involved valve in, carcinoid syndrome is tricuspid valve which forms the inflow tract of Right ventricle. Most commonly involved part of heart : Inflow tract of RV (Tricuspid valve) Second most commonly involved part of heart : Outflow tract of RV (Pulmonic valve)